Chronic periapical infection in primary molars is first
noted as
1. Rarefaction of bony furcation
2. As internal resorption
3. As rarefaction of Periapical tissues
4. Widening of Periodontal ligament space

Correct answer: 1. Rarefaction of bony furcation